Which among the following is good prognostic marker of all?
1. Age > 10 years
2. Male sex
3. Hyperploidy
4. Translocation (9;22)

Correct answer: 3. Hyperploidy